During autopsy for virology study which agent is used for storing tissue:
1. Sodium chloride
2. Alcohol
3. Rectified spirit
4. 50% glycerine

Correct answer: 4. 50% glycerine

Explanation: Ans. 50% glycerine